Angelic look refers to:
1. SLE
2. Cherubim.
3. Hurler syndrome.
4. Cushing syndrome.

Correct answer: 2. Cherubim.

Explanation: angelic look means eye to heaven appearance